Candida is most often implicated in causation -
1. Conjunctivitis
2. Tinea capitis
3. Desert rheumatism
4. Thrush

Correct answer: 4. Thrush